Type of CT Scan used to characterise the chemical composition of kidney stones?
1. Spiral CT
2. Multidetector CT
3. Dual source CT
4. HRCT

Correct answer: 3. Dual source CT

Explanation: Dual source CT uses two different x-ray sources with different Kvp and based on the interaction with different elements can characterize the type of kidney stones. Clinical dual-energy applications include: Characterization of abdominal masses, Chemical composition of renal calculi, Myocardial and pulmonary perfusion imaging.